All of the following antihypertensive drugs are given in pregnancy EXCEPT:
1. Methyldopa
2. Labetalol
3. Captopril
4. Nifedipine

Correct answer: 3. Captopril

Explanation: Ans. (c) CaptoprilRef. KDT 6th ed. 553Antihypertensive to be avoided during pregnancyAntihypertensive safer during pregnancy* ACE inhibitors (Ex- captopril, enelapril etc.)* Angiotensin antagonist (losartan, telmesartan)* Thiazide diuretics (Ex- hydrochlorthiazide)* Furosemide* Propanolol* Nitroprusside* Hydralazine* Methyldopa* Atenolol* Metoprolol* Labetalol-DOC* Nifedipine* Prazosin and ClonidineDrugs and their Respective Risk* Diuretics: tend to reduce blood volume; increase risk of placental infarcts, fetal wastage, stillbirth.* ACE inhibitors, ATI antagonists: growth retardation and fetal damage risk.* Propanolol: causes low birth weight, neonatal hypoglycemia and bradycardia.* Nitroprusside: contraindicated in eclampsia.